Which of these is not a part of extracellular matrix:
1. Laminin
2. Fibronectin
3. Integrins
4. Collagen

Correct answer: 3. Integrins

Explanation: C i.e. Integrins- Extracellular matrix proteins are collagen, elastin, fibrillin, fibronectin, laminin and proteoglycans (GAGs) Mn- "Call Ela For Last Prose" Whereas cell adhesion molecules present in cytoplasm or cell membrane include integrins, selectins, cadherins and immunoglobulin family CAMsQ.- Integrins are cell surface adhesion protein that provide linkage between cell outside & inside, between cell- cell and between cell & extracellular matrix.